All of the following features are seen in asbestosis except
1. Diffuse pulmonary interstitial fibrosis
2. Fibrous pleural thickening
3. Emphysema
4. Calcific pleural plaques

Correct answer: 3. Emphysema

Explanation: Asbestosis is a diffuse interstitial fibrosing disease of the lung that is directly related to the intensity and duration of exposure.The disease resembles other forms of diffuse interstitial fibrosis. Past exposure to asbestos is specifically indicated by pleural plaques on chest radiographs, which are characterized by either thickening or calcification along the parietal pleura, particularly along the lower lung fields, the diaphragm, and the cardiac border. Without additional manifestations, pleural plaques imply only exposure, not pulmonary impairment. Ref Harrison 19th edition 1688